Hydrolysis of which of the following compounds yield urea?
1. Ornithine
2. Argininosuccinate
3. Aspartate
4. Arginine

Correct answer: 4. Arginine

Explanation: Arginine is an amino acid that is deaminated to form ornithine primarily in the liver as part of the urea cycle. Ornithine, argininosuccinate, aspartate and citrulline are generated in the urea cycle but do not provide free ammonia for urea synthesis.